Alpha fetoprotein synthesized from
1. Yolk sac
2. Placenta
3. Foetal brain
4. Foetal kidney

Correct answer: 1. Yolk sac

Explanation: (Yolk sac) (107-D)* AFP - is a oncofetal protein it is produced by yolksac and fetal liver* Highest level of AFT in fetal serum and amniotic fluid reached around 13 weeks and thereafter it decreases* Maternal serum level reaches a peak around 32 weeks* * Test is done between 15-18 weeksMSAFP level is elevated in(a) Wrong gestational age(b) Open neural tube defects(c) Multiple pregnancy(d) IUCD(e) Anterior abdominal wall defects(f) Renal anomaliesMSAFP level is lowin Trisomies (Down's syndrome) gestational trophoblastic disease* Triple test - includes MSAFP, hCG and UE3 (Unconjugated oestriol)